Ovulation associated most commonly with?
1. LH surge
2. Increase in progesterone
3. Increase in FSH
4. Increase in basal body temperature

Correct answer: 1. LH surge

Explanation: ANSWER: (A) LH surgeREF: Ganong WF: Review of Medical Physiology, 22nd ed (chapter 23) Figure 6-10, William's obstetrics 22nd edition Figure 3-1."The onset of the gonadotropin surge resulting from increased secretion of estrogen by preovulatory follicles is a relatively precise predictor of the time of ovulation, occurring some 34 to 36 hours before the release of the ovum from the follicle. The peak of LH secretion occurs 10 to 12 hours before ovulation and stimulates the resumption of the meiosis process in the ovum with the release of the first polar body"